Autopsy of a case of cyanide poisoning shows all of the following features, EXCEPT:
1. Congested organs
2. Characteristic bitter lemon smell
3. The skin shows pinkish or cherry red colour
4. Erosion and hemorrhages in oesophagus and stomach

Correct answer: 2. Characteristic bitter lemon smell

Explanation: Cyanide poisoning is associated with a characteristic smell of bitter almonds and not of bitter lemon. Mechanism: Cyanide inhibits the action of enzymes such as cytochrome oxidase, carbonic anhydrase. It blocks the final step of oxidative phosphorylation and prevent the formation of ATP. Ref:The Essentials of Forensic Medicine and Toxicology By Dr KS Narayan Reddy, Pages 560-1